Which of the following is a Universal donor?
1. A Positive
2. O Positive
3. AB Positive
4. O Negative

Correct answer: 4. O Negative